Best anaesthesia for status asthamaticus
1. Thiopentone
2. Ketamine
3. Ether
4. N20

Correct answer: 2. Ketamine

Explanation: B i.e. Ketamine